Globus pallidus, putamen are present in
1. Pons
2. Basal ganglia
3. Thalamus
4. Cerebellum

Correct answer: 2. Basal ganglia

Explanation: Putamen is the outer part of lentiform nucleus. It is dark in colour and is roughly quadrilateral. Globus pallidus is the inner small part, which is paler in appearance. It is further divided by an internal lamina of white matter into external segment and internal segment. Striatum (caudate nucleus and putamen) forms the main input side of the basal ganglia. Pallidum (globus pallidus) is the main output side of the basal ganglia. Ref: guyton and hall textbook of medical physiology 12 edition page number: 793,794,795